Which one of the following is a cyanotic congenital heart disease ?
1. Patent ductus arteriosus
2. Atrial septal defect
3. Ventricular septal defect
4. Tetralogy of Fallot

Correct answer: 4. Tetralogy of Fallot

Explanation: TOF is a cyanotic heart disease. Ref : Ghai essential of pediatrics, eighth edition, p.no:420